Hepatic Encephalopathy is predisposed by all, Except:
1. Hyperkalemia
2. Dehydration
3. Constipation
4. GI Bleeding

Correct answer: 1. Hyperkalemia

Explanation: Hepatic Encephalopathy is predisposed by Hypokalemia and not by Hyperkalemia REF: Harrison book of internal medicine 21ST EDITION